80-year-old patient is admitted for open reduction and internal fixation of a fracture of the femur . Which one of the following technique is ideal anesthetic technique for this patient?
1. Regional anesthesia
2. General anesthesia
3. Local infiltration
4. Paracervical block

Correct answer: 1. Regional anesthesia

Explanation: Regional anesthesia is ideal anesthetic technique for this old patient Reasons: Lower incidence of postoperative thromboembolism Maintains respiratory function better than general anesthesia Inhibit platelet aggregation and stabilize endothelial cells General anesthesia is an alternative to regional block if old patient refuses regional anesthesia Advantage of GA is that the patient can be induced in bed and moved to the operating room table after intubation, avoiding the pain of positioning. Disadvantage : patient is unable to provide feedback regarding pressure points on the unpadded orthopedic table